A 62-year-old man presents with pallor, fatigue, and dyspnea on exertion. A complete blood count reveals microcytic hypochromic anemia. The likely cause of this hematological finding is?
1. Increased iron requirement
2. Gastrointestinal bleeding
3. Hypersplenism
4. Hemolytic anemia

Correct answer: 2. Gastrointestinal bleeding

Explanation: - Iron deficiency anemia is the most common cause of hypochromic microcytic anemia - In men and postmenopausal women, the usual cause of IDA is occult gastrointestinal blood loss (due to helminthic infestations, GI malignancies, etc). warrants a complete workup, including GI endoscopy to detect the source of the bleeding. - In young women, the cause is most often related to menstrual blood loss (increased iron requirement), compounded by deficient dietary intake.